Characteristic features of the acute compartment syndrome in the lower leg include all of the following except
1. Acute pain on employing the stretch test
2. Normal pulses
3. Normal sensation distally
4. Venous occlusion

Correct answer: 3. Normal sensation distally

Explanation: C i.e. Normal sensation distally Compartment Syndrome - Tibial diaphyseal fractures is the most common cause of compartment syndromeQ (overall and in adults); in children the most common cause is fracture supracondylar humerusQ. In a recent study it has been reported that 69% of compartment syndromes are associated with fracturesQ and 36% of all compartment syndrome are associated with tibial diaphyseal fractureQ. With the improved results associated with intramedullary nailing of tibial fractures, compartment syndrome has become the commonest serious complication of closed tibial fractures. An open fracture does not protect the patient from compartment syndrome. It mainly affects young male and is best detected by compartment pressure monitoringQ. Most of the classical symptoms of compartment syndrome only occur only after there has been irreversible soft tissue damageQ. If the surgeons wait for paresthesia, paralysis, or pulselessness, the patient is highly unlikely to recover full function and it is probable that myonecrosis will already have started. If clinical suspicion is to be used for diagnosis, the diagnosis must be based on increased painQ (disproportionate) and pain on passive muscle stretchQ, as these clinical signs usually occur at an earlier stage. It is extremely difficult to diagnose compartment syndrome clinically, and this problem is exacerbated by the fact that a number of patients will be pain free, unconscious, on ventilators, or anesthetized when compartment syndrome becomes clinically important. When monitoring it is only necessary to record the pressure in the anterior compartment (as it is involved in all cases). The pressure is highest nearer the fracture site, it is there fore important to locate the tip of the catheter near to the fracture site to ensure that the muscle with the highest pressure is monitored. Continuous pressure monitoring is better than single reading. Surgeons use a single pressure level, usually 30 mm He, or a difference between intra compartment pressure and diastolic blood pressure (diastolic BP - ICP) < 30 mmHgQ as an appropriate criteria to base the decision to undertake fasciotomy. Subtotal fasciotomy should never be undertaken. All four compartments should be decompressed. Compartment decomression (fasciotomy) should be performed immideatelyQ as delay carries risk of permanent dysfunction.